Harmone associated with satiety is
1. α-MSH
2. Orexin
3. Ghrelin
4. Neuropeptide-Y

Correct answer: 1. α-MSH

Explanation: α-MSH (α- Melanocyte Stimulating Harmone) is associated with satiety.
Orexin, Ghrelin, Neuropeptide-Y is associated with increased appetite.